Not used in Health planning ?
1. Increasing demands for resources
2. Analysis of health situation
3. Assessment of Resources
4. Fixing priorities

Correct answer: 1. Increasing demands for resources

Explanation: The planning cycle involves ; - analysis of the health situation - establishment of objective and goals - assessment of resources - fixing priorities - write up of formulated plan - programming and implementation - monitoring - evaluation Reference : Park's textbook of preventive and social medicine, 23rd edition, pg no:870